In case of serious professional misconduct, action is taken by
1. MCI
2. State medical council
3. Court
4. Police

Correct answer: 2. State medical council